Impotent female is having ?
1. Gonadal dysgenesis
2. Hermaphrodits
3. Vaginismus
4. Absence of ovary

Correct answer: 3. Vaginismus

Explanation: Ans. is 'c' i.e., Vaginismus In males, the impotence is passive leading to non-erection, but in females it is of an active nature, leading to viginismus" Reddy Vaginismus is a spasmodic contraction of vagina due to hyperaesthesia. Impotence in female (Reddy 3(Wep. 349, 351) Impotence is the inability of a person to perform sexual intercourse. Important causes in female are - Absent vagina. Turner tube intersexuals. Total occlusion of vagina. Adhesion of labia. Tough imperforate hymen. Vaginismus Conical cervix and absence of ovaries, uterus or fallopian tubes produce sterility but not impotence.